Which of the following is seen in APGAR score?
1. Colour
2. Bilirubin
3. Blood group
4. Respiratory rate

Correct answer: 1. Colour

Explanation: Ans: a (Colour) Ref: Nelson, 18th ed, p. 879; OPGhai, 6th ed, p. 144Parameters used in APGAR score* Respiratory effort* Heart rate / min* Colour of the body* Muscle tone* Reflex stimulationAPGAR score is a semi objective measure of assessing the infants respiratory, circulatory and neurological status at birthNormal babies have an APGAR score of 9 at one and five minutesAPGAR score between 4-8 is moderately low while that less than 4 is very lowMost important cause of cardiopulmonary, neurological depression indicated by low APGAR score is birth asphyxiaInfants with low 5 minute APGAR score should be monitored for manifestation of hypoxic ischaemic encephalopathy.